Which of the following doesn't resemble panic attack?
1. Hypoglycemia
2. GTCS
3. Myocardial infarction
4. Temporal lobe epilepsy

Correct answer: 2. GTCS

Explanation: Hypoglyemia, MI and even temporal lobe epilepsy can produce symptoms of anxiety. But GTCS presents with only tonic - clonic seizures.